True about Apoptosis all EXCEPT -
1. Annexin 5 is marker
2. Inflammation is present
3. Cell shrinkage
4. Clumping of chromatin

Correct answer: 2. Inflammation is present

Explanation: Ans. is 'b' i.e., Inflammation is present o The two most striking features of apoptosis are:" 1.1n contrast to necrosis it does not elicit inflammation2. Considerable apoptosis may occur in tissues before it becomes apparent in histological section (because it occurs very rapidly).